A person fed on only maize diet will develop:
1. Beri Beri
2. Scurvy
3. Pellagra
4. Epidemic dropsy

Correct answer: 3. Pellagra

Explanation: Ans. C i.e. Pellagra The nutritional disease pellagra, which is caused by a deficiency in niacin , is associated with maize-based diets in the Americas and Africa. While niacin is readily available in corn, it exists in a bound form (niacytin) that is not biologically available to monogastric (single-stomach) animals.